Epworth questionaries used in
1. COPD
2. Emphysema
3. Bronchial asthma
4. Obstructive sleep apnea syndrome

Correct answer: 4. Obstructive sleep apnea syndrome

Explanation: i.e. (Obstructive sleep apnea syndrome): (J666-H17th )Epworth Sleepness score - for obstructive sleep apnea / hypopnea syndromeEPWORTH SLEEPNESS SCOREHow open are you likely to doze off or fall asleep in the following situations in contrast to feeling just tired? This refer to your usual way of life in recent times. Even if you have not done some of these things recently try to work out how they would have affected you. Use the following scale to choice the most appropriate number foreach situation0 = Would never doze1 = slight change of dozing2 = moderate chance of dozing3 = high chance of dozing* Setting and reading* Watching TV* Sitting, inactive in a public place (eg a theater or meeting)* Asa passenger in a ear for an hour without a break* Lying down to rest in the afternoon when circumstances permit* Sitting and talking to someone* Sitting quietly after lunch without alcohol* In a ear, while stopped for a few minutes in trafficSleep apnoea is defined as an intermittent cessation of airflow at the nose and mouth during sleep. By convention the apnea should be of at least 10 second durationSleep anea causes excessive day time sleepinessObstructive sleep apneaCentral sleep apneaApnea occurs due to occlusion of upper airway usually at the level of oropharynxApnea occurs due to transient stoppage of neural drive tothe ventilatory muscle* Most common age group for obstructive sleep apnea - male aged 30 - 60 yearsC/F of obstructive sleep apnea1. Systemic hypertension2. Pulmonary hypertension3. Heart failure (right & left)4. Personality changes5. Behaviour changes